Which of the following statements regarding aceinhibitors is true ?
1. These convert angiotensinogen to angiotensinaEUR'
2. Omission of prior diuretic dose decreases the risk of postural hypotension
3. Lisinopril is shorter acting the enalapril
4. These are contra-indicated in diabetic patients

Correct answer: 2. Omission of prior diuretic dose decreases the risk of postural hypotension

Explanation: Omission of prior diuretic dose decreases the risk of postural hypotension